In which of the poisoning, gastric wash is contraindicated?
1. Oxalic acid
2. Sulphuric acid
3. Opiate
4. Dhatura

Correct answer: 2. Sulphuric acid

Explanation: Gastric lavage is useful any time within 3 hours after ingestion of a poison. The only absolute contraindication of gastric lavage is corrosive poisoning (except carbolic acid), owing to the danger of perforation. Precautions should be taken for convulsant poisons, in comatose patients, volatile poisons, upper alimentary diseases, marked hypothermia, and hemorrhagic diathesis. Ref: Essentials of Forensic Medicine and Toxicology by KS Narayan Reddy, 27th edition, Page 453.